Which drug of the following is contraindicated in a pregnant female?
1. Ceftriaxone
2. Amoxycillin
3. Erythromycin
4. Streptomycin

Correct answer: 4. Streptomycin

Explanation: Important Antibiotics which are safe in pregnancy can be remembered as: - PCM P - Penicillins C - Cephalosporins M - Macrolides Antibiotics which are contraindicated in pregnancy are: - Aminoglycosides Flouroquinolones Tetracyclins cause Hearing loss Damage to cartilage and tendon of growing fetus. Damage to bone and Teeth of the growing baby